Which of the following is supplied by the abdominal aorta?
1. Accessory lung lobes
2. Bronchopulmonary segment
3. Sequestrated lung tissue
4. Base of lung

Correct answer: 3. Sequestrated lung tissue

Explanation: Normally the lung tissue is not supplied by aorta. But, when an abnormal lung tissue persists from the embryonic life, this tissue is known as a sequestrated lung tissue. It may be covered by its own pleura when existing outside the lung, or may lie within the lung. The blood supply to this tissue is by an abnormal branch from aorta.